A 25 yr old male is undergoing incision and drainage of abscess under general anaesthesia with spontaneous respiration. The most efficient anaesthetic circuit is:
1. Mapleson A
2. Mapleson B
3. Mapleson C
4. Mapleson D

Correct answer: 1. Mapleson A

Explanation: Mapleson A Breathing circuits A. Open system (Out dated) B. Semiopen (Out dated) C. Semiclosed (Mapleson circuits) D. Closed